In a case of hypertrophic pyloric stenosis, the metabolic disturbance is
1. Respiratory alkalosis
2. Metabolic acidosis
3. Metabolic alkalosis with paradoxical aciduria
4. Metabolic alkalosis with alkaline urine

Correct answer: 3. Metabolic alkalosis with paradoxical aciduria

Explanation: Hypertrophic metabolic acidosis Clinical features Infant is normal at birth, symptomatic between ages of 3-6 weeks Infants with HPS typically present with projectile nonbilious vomiting Visible gastric peristalsis may be seen as a wave of contraction from the upper left quadrant to the epigastrium The infants usually feed vigorously between episodes of vomiting Typical electrolyte abnormalities Hypochloremia Hypokalemia Metabolic acidosis with paradoxical aciduria Ref: Sabiston 20th edition Pgno : 1869